Landau-Kleffner syndrome is characterized by all of following except
1. Seizure
2. Loss of language skill
3. Normal EEG during sleep
4. Normal brain CT scan

Correct answer: 3. Normal EEG during sleep

Explanation: Ans. C. Normal EEG during sleep Ref : Nelson Textbook of Pediatrics 20th/ed p2837ExplanationLandau-Kleffner syndrome is a condition of unknown cause characterized by:# Loss of language skills attributed to auditory agnosia in a previously normal child# Seizures (focal, generalized tonic-clonic, atypical absence, partial complex, and, occasionally, myoclonic seizures).# High-amplitude spike-and-wave discharges ON EEG which are always more apparent during non-rapid eye movement sleep; thus, a child in whom Landau-Kleffner syndrome is suspected should have an EEG during sleep, particularly if the awake record is normal.# CT and MRI studies typically yield normal results.